In chalcosis bulbi the electrolytically dissociated ions of copper are:
1. Deposited under the membraneous structures of the eye
2. Combine with intracellular proteins and produce degenerative changes
3. Produce irritative reaction at the local site
4. All of the above

Correct answer: 1. Deposited under the membraneous structures of the eye

Explanation: Ans. Deposited under the membraneous structures of the eye